A farmer visiting a orchard gets unconscious, excessive salivation, constricted pupils and fasciculation of muscles, treatment started with-
1. Atropine
2. Neostigmine
3. Physostigmine
4. Adrenaline

Correct answer: 1. Atropine

Explanation: The farmer in question is having organophosphate poisoning, for which atropine is the drug of choice.